Palpatory thud, audible slap is seen in-
1. Tracheal foreign body
2. Bronchial foreign body
3. Laryngeal foreign body
4. None

Correct answer: 1. Tracheal foreign body